All are true regarding prazosin, EXCEPT :
1. First dose effect
2. Impaired glucose tolerance
3. Selective alpha-1 blocker
4. Is an antihypertensive drug

Correct answer: 2. Impaired glucose tolerance

Explanation: Ans. is 'b' Impaired glucose tolerance * "Prazosin improves the carbohydrate metabolism.It also improves lipid profile lower LDL, increase HDL"